Blood testis barrier is located between:
1. Sertoli and sertoli cells
2. Leydig and myoid cells
3. Sertoli and germ cells
4. Sertoli spermatid

Correct answer: 1. Sertoli and sertoli cells

Explanation: Ans. a. Sertoli and sertoli cells Blood testis barrier is located between sertoli and sertoli cells.Sertoli cells are linked by tight junctions, the strongest intercellular barriers in the body. This arrangement forms the blood testes barrier. Blood testes barrier protects the developing sperms from immunologic attack and blood borne noxious agents.'Sertoli cells are specialized cells within the seminiferous tubules that are involved in the orchestration and coordination of all the key events during spermatogenesis and spermiogenesis.'